Laser uvulopharyngopalatoplasty is the surgery done for which of the following?
1. Snoring
2. Recurrent pharyngotonsilitis
3. Cleft palate
4. Stammering

Correct answer: 1. Snoring

Explanation: Snoring : Noisy breathing, a rough, rattling inspiratory noise produced by vibration of pendulous soft palate or occasionally of vocal cords, during sleep. Snoring indicates some obstruction in upper airway and represents a continum of the similar pathology as of Obstructive Sleep Apnea (OSA), where snoring is on one end and OSA on the other. Management of snoring without Obstructive Sleep Apnea. Uvulopalatoplasty-Laser Assisted Uvulopalatoplasty (LAUP) or Bovie-Assisted Uvulopalatoplasty (BAUP). It can be performed under Local A naesthesia in OPD. In this procedure uvula is amputated and 1 cm trenches are created in the soft palate on either side of uvula. The soft palate elevates and stiffens after healing. Uvulopalatopharyngoplasty- It is the M/C surgery performed for Obstructive Sleep Apnea. It is also very effective in treating snoring.